Protein targeted for destruction in eukaryotes are covalently linked to
1. Clathrin
2. Pepsin
3. Laminin
4. Ubiquitin

Correct answer: 4. Ubiquitin

Explanation: Ubiquitin plays a major role in the degradation of proteins and is particularly associated with the disposal of misfolded proteins.
It is a small, highly conserved protein that plays a key role in marking various proteins for subsequent degradation in proteosomes.